Celiac sprue causes malabsorption syndrome due to-
1. Coliform infection of small bowel
2. Lactase deficiency
3. Hypersensitivity to dietary gluten
4. Ischaemia of celiac artery

Correct answer: 3. Hypersensitivity to dietary gluten